Repeated application of sodium or potassium flouride to teeth of children significantly reduced their caries prevalence. This was first demonstrated by
1. Knutson
2. Bibby
3. Muhler
4. Dean

Correct answer: 2. Bibby